Left common cardinal vein is reduced to
1. Great cardiac vein
2. Azygos vein
3. SVC
4. Coronary sinus

Correct answer: 4. Coronary sinus

Explanation: Left common cardinal vein is reduced to coronary sinus Ref Human embryology Inderbir singh Tenth edition Page 232